Otospongiosis is ?
1. Autosomal dominant
2. Autosomal recessive
3. X-linked dominant
4. X-linked recessive

Correct answer: 1. Autosomal dominant

Explanation: Ans. is 'a' i.e., Autosomal dominanto Otosclerosis (otospongiosis) is abnormal bone deposition in the middle ear about the rim of the oval window into which the footplate of stapes fit.o This results in conductive deafnesso In most instances it is familial, following autosomal dominant transmission with variable penetrance.